Water shed Infarct in brain
1. Occurs in the proximal portion of main arteries
2. Occurs in the central portion of main arteries
3. Occurs in the terminal portion of main arteries
4. None

Correct answer: 3. Occurs in the terminal portion of main arteries

Explanation: *Water shed infarcts occurs at distal territories between the major cerebral arteries watershed stroke is defined as a brain ischemia that is localized to the vulnerable border zones between the tissues supplied by the anterior, posterior and middle cerebral arteries. The actual blood stream blockage/restriction site can be located far away from the infarcts. Watershed locations are those border-zone regions in the brain supplied by the major cerebral arteries where blood supply is decreased. Watershed strokes are a concern because they comprise approximately 10% of all ischemic stroke cases.The watershed zones themselves are particularly susceptible to infarction from global ischemia as the distal nature of the vasculature predisposes these areas to be most sensitive to profound hypoperfusion Ref Harrison20th edition pg 2456